Ovoviviparous parasite which is associated with autoinfection ?
1. Ancylostoma duodenale
2. Strongyloides stercoralis
3. Enterobius vermicularis
4. Ascaris

Correct answer: 2. Strongyloides stercoralis

Explanation: Ans. is 'b' i.e., Strongyloides stercoralis Among the given options, strongyloides and enterobius can cause autoinfection. Strongyloides is ovoviviparous, whereas enterobius is oviparous.